β blocker of choice used in Glaucoma with hyperlipidaemia
1. Betaxolol
2. Carvedilol
3. Carteolol
4. Timolol

Correct answer: 3. Carteolol

Explanation: β blocker of choice used in Glaucoma with hyperlipidaemia is Carteolol.
β blocker of choice used in Glaucoma with cardiopulmonary disease is Betaxolol and Carteolol.